Thrombocytopenia, macerated skin lesions, rash and periostitis in a newborn are seen in –
1. Erythroblastosis fetalis
2. Cytomegalovirus infection
3. Syphilis
4. HIV infection

Correct answer: 3. Syphilis